Which of the following drug does not trigger malignant hyperthermia
1. Ether
2. Succinylcholine
3. Rocuronium
4. Halothane

Correct answer: 3. Rocuronium

Explanation: Halogenated inhalational anaesthetic agents and succinylcholine can trigger malignant hyperthermia. Malignant hyperthermia is a genetic(autosomal dominant) hypermetabolic muscle disease. Triggering agents include Inhaled general anesthetics Ether Halothane Methoxyflurane Enflurane Isoflurane Desflurane Sevoflurane Depolarizing muscle relaxants Succinylcholine